Mandible is commonly fractured:
1. At the neck of the condyle
2. Through the angle
3. Through the cannine fossa
4. At the middle

Correct answer: 1. At the neck of the condyle

Explanation: FRACTURE OF THE MANDIBLE - Condylar neck is the weakest part of the mandible and MC site of fracture. Mandible may fracture directly at the point of the blow. Indirectly where the force from the blow is transmitted and the mandible fractures at a point of weakness distant from the original blow, known as 'Guardsman' fracture. - 'Butterfly' fracture of the mandible: A segment of mandible is deteched from the rest of the mandible in the canne regions Diagnosis - Recommended readiographic evaluation of a mandible fracture : Panoramic radiograph (panorex) And Towne's view X-ray Treatment - As in midface fractures, restoration of dental occlusion forms the foundation for fracture management. Intermaxillary fixation before fractures exposure and plating is necessary - Condylar and subcondylar mandible fractures are most often treated by IMF alone.